Drug of choice for prophylaxis of meningococcal meningitis in a pregnant female after contact with a case is: -
1. Ciprofloxacin
2. Ceftriaxone
3. Cefalexin
4. Rifabutin

Correct answer: 2. Ceftriaxone

Explanation: Important points to remember about Meningococcal Meningitis Doc for Empirical Treatment ceftriaxone Doc for Definitive Treatment Penicillin G Doc for Prophylaxis ciprofloxacin Doc for Prophylaxis in pregnancy ceftriaxone